In "Three glass test" shreds are present in 1stglass only. The likely diagnosis would be:
1. Cystitis
2. Renal pathology
3. Anterior urethritis
4. Prostatitis

Correct answer: 3. Anterior urethritis